Not compatible with soda Time –
1. Ether
2. Halothane
3. Trilene
4. N2O

Correct answer: 3. Trilene

Explanation: Not compatible with sodalime → Trilene (produces phosgene and dichloroacetylene) and sevoflurane (produces compound A).